On X-ray which of the following can be find most accurately
1. Acute pulpits
2. Periapical granuloma
3. Mental foramen
4. Cementoma

Correct answer: 3. Mental foramen